A 46-year-old woman is admitted to the hospital with a large mass in her lower anterior neck. Ultrasonic examination reveals a benign tumor of her thyroid gland. During the procedure to remove the tumor the superior thyroid artery is identified and used as a landmark in order not to damage its small companion nerve. Which of the following nerves is most likely to accompany the superior thyroid artery?
1. Cervical sympathetic trunk
2. External branch of the superior laryngeal
3. Inferior root of the ansa cervicalis
4. Internal branch of the superior laryngeal

Correct answer: 2. External branch of the superior laryngeal

Explanation: The external branch of the superior laryngeal nerve courses together with the superior thyroid artery for much of its route. The cervical sympathetic trunk is located more laterally and quite posteriorly to this location. The inferior root of the ansa cervicalis is located more superficially in the anterior neck. The internal branch of the superior laryngeal nerve takes a route superior to that of the external branch and the superior thyroid artery and would be unlikely to be injured in this case. The recurrent laryngeal nerve terminates inferiorly, passing into the larynx in relation to the inferior thyroid artery or its branches.